A child suffering from asthma is to be treated with a drug that blocks the synthesis of leukotrienes. What drug would be an appropriate choice
1. Cromolyn sodium
2. Montelukast
3. Zileuton
4. Theophylline

Correct answer: 3. Zileuton

Explanation: zileuton mech of action:- It is a 5-LOX(lipoxygenase) inhibitor, blocks LTC4/D4 as well as LTB4 synthesis. It therefore has the potential to prevent all LT induced responses including those exerted by activation of cysLT1 receptor. Duration of action of zileuton is short. side effects:- Hepatotoxicity